Typhoid carriers are detected by following except ?
1. Isolation of bacteria from urine
2. Isolation of bacteria from bile
3. Vi antigen
4. Widal test

Correct answer: 4. Widal test

Explanation: Ans. is 'd' i.e., Widal test